All of the following may be used for premedication except
1. Diazepam
2. Pethidine
3. Atropine
4. Pancuronium

Correct answer: 4. Pancuronium

Explanation: Diazepam (benzodiazepine) is used for relieving anxiety, inducing good sleep and producing amnesia. Opioids for producing analgesia and atropine (anticholinergics) for drying up the secretions. Pancuronium is non-depolarizing muscle relaxant used during surgery to produce muscle relaxation. REf KATZUNG 12TH ed.